The patient with the following show the maximum deposits of lipofuscin in -
1. Gaucher's disease
2. Tay sach's disease
3. Acute Enteric fever
4. Severe malnutrition

Correct answer: 4. Severe malnutrition

Explanation: Ans. is 'd' i.e., Severe malnutrition